Maraviroc is used in treatment of:
1. CMV
2. HSV
3. HIV
4. Measles

Correct answer: 3. HIV

Explanation: Maraviroc binds specifically and selectively to CCR5, one of two coreceptors necessary for entrance of HIV into CD4+ cells, thus blocking entry of CCR5-tropic HIV into these cells. Ref: Katzung 11th edition Chapter 49.